Factors effecting nerve conduction are
1. Pressure
2. Hypoxia
3. Local anaesthetics
4. All

Correct answer: 4. All

Explanation: Pressure, hypoxia, local anaesthetics are factors effecting nerve conduction Ref:Guyton and Hall textbook of medical physiology 12th edition,page number: 72,73